A boy after playing football complaining fatigue and abdominal pain. He also had a history of hand swelling in past. On ultrasonography, he has shrunken spleen. What is the likely diagnosis of this patient?
1. Sickle cell anemia
2. Iron deficiency anemia
3. Acute pancreatitis
4. Intermittent porphyria

Correct answer: 1. Sickle cell anemia

Explanation: Sickle cell anemia b-globin hemoglobinopathy(mutation in coding sequence ofb-globin gene, GAG - GTG ) Anemia and reticulocytotic;sickle-shaped erythrocytesdemonstrable on peripheral blood smear; homozygosity forhemoglobin Sdemonstrable by electrophoresis Characterized bysevere anemia, recurrent painful and aplastic crises, and nonhealing leg ulcers; recurrent splenic infarcts with progressive fibrosisresult inauto splenectomy